Distal interphalangeal joints are involved in all except -
1. Psoriatic arthritis
2. Rheumatoid arthritis
3. Reactive arthritis
4. Osteoarthritis

Correct answer: 2. Rheumatoid arthritis

Explanation: Ans. is 'b' i.e., Rheumatoid arthritis JointImportant arthritis involving the jointDistal interphalangeal jointProximal interphalangeal jointMetacarpophalangeal joint1st Carpometacarpal jointWristOsteoarthritis, Psoriatic arthritis, Reactive arthritisOsteoarthritis, RA, SLE, Psoriatic arthritisRA. pseudogout, hemochromatosisOsteoarthritisRA, Pseudogout, gonococcal arthritis, juvenile arthritisSpared jointo Wrist and MTPo DIPOsteoarthritisRA